Levator ani muscle supplied by:
1. Superior gluteal nerve
2. Pudendal nerve
3. Common peroneal portion
4. Internal iliac nerve

Correct answer: 2. Pudendal nerve

Explanation: (Pudendal nerve) Ref: 394-BDC-2, 349-Snell 7thThe levator ani is supplied by:1. A branch from the fourth sacral nerve2. A branch either from the inferior rectal nerve or from the perineal division of the pudendal nerveBranches of the Sacral Plexus and Their DistributionBRANCHESDISTRIBUTION,Superior gluteal nerve- G. medius, G. minimus, and Tensor fasciaelatae muscleInferior gluteal nerve- G - maximusNerve to piriformis-Piriformis muscleNerve to obturator intemus- Obturator intemus and superior gemellus muscleNerve to quadratus femoris- Quadratus femoris and inferior gemellus musclePerforating cutaneous nerve- Skin over medial aspect of buttocksPosterior cutaneous nerve of thigh- Skin over posterior surface of thigh and popliteal fossa, also covers lower part of buttock, scrotum or labium majusSciatic nerve (L4- 5, S1,2,3) Tibial portion- Hamstring muscles (semitendinosus, biceps femoris . Adductor magnus. Gastrocnemius, soleus plantaris, popliteus, Tibialis posterior. FDL, FHL, and via medial and lateral planter branches to muscles of sole of foot; sural branch supplies skin on lateral side of leg and foot.Common peroneal portion- Biceps femoris (short head) and via deep peroneal branch: Tibialis anterior, EHL, EDL Peroneus tertius, EDB muscle, skin over cleft between first and second toes, the superficial peroneal branch supplies the peroneus longus and brevis muscles and skin over lower third of ant surface of leg and dorsum of foot.Pudendal nerve- Muscles of perineum including the external anal sphincter, mucous membrane of lower half of anal canal, perianal skin, skin of penis scretum, clitoris and labia majora and minora